Main transporter of cholesterol to peripheral tissue is:
1. HDL
2. LDL
3. IDL
4. VLDL

Correct answer: 2. LDL

Explanation: B i.e. LDL- Maximum content of triglycerides (& exogenous TG) is present in chylomicrons which carries exogenous dietary TG's to peripheral tissuesQ.Highest amount of cholesterol is present in LDL which is the most important carrier of cholesterol and provides (transports) choelestrol to extrahepatic peripheral tissueQ.